A person suffered a fracture of neck of fibula followed by foot drop. The involved nerve is
1. Common peroneal nerve
2. Tibial nerve
3. Deep peroneal nerve
4. Sciatic nerve

Correct answer: 1. Common peroneal nerve

Explanation: Common peroneal nerve is in close relation to Neck of fibula and on damage leads to foot drop.